True about female pelvis:
1. C-shaped pelvic cavity
2. Pelvic inlet is wider posteriorly
3. P. inlet is heart shaped
4. Subpubic angle is 700

Correct answer: 1. C-shaped pelvic cavity

Explanation: A i.e. C shaped pelvic cavity